Trastuzumab all are true EXCEPT -
1. Shows better response in combination with paclitaxel
2. Used in metastatic breast cancer
3. Causes upregulation of HER2/neu
4. Do not causes bone marrow toxicity

Correct answer: 3. Causes upregulation of HER2/neu

Explanation: Ans. is 'c' i.e., Causes upregulation of HER2/neu o It has been suggested that trastuzumab induce some of its effects by down regulation of HER2/neu (not upregulation) o Currently transtuzumab is approved for HER2/neu overexpressing metastatic breast cancer in combination with paclitaxel as initial treatment or as monotherapy following chemotherapy. o Herceptin use is associated with infusion-related hypotension, flushing and bronchoconstriction, and skin rash but no bone marrow toxicity.